A part of adjacent intestine will be removed in
1. Enterogenous cyst
2. Chylolyphatic cyst
3. Dermoid cyst
4. Mesothelial cyst

Correct answer: 1. Enterogenous cyst

Explanation: Treatment of Enterogenous cyst is bowel resection fillowed by intestinal anastomosis.